Which of the following inhalational agent should not be used in closed circuit?
1. Desflurane
2. Sevoflurance
3. Both 1 & 2
4. Isoflurane

Correct answer: 2. Sevoflurance

Explanation: Sevoflurane, Trilene & Methoxyflurane are avoided in closed circuit.
Sevoflurane reacts with sodalime to produce compound A which is nephrotoxic.
Trilene reacts with sodalime and produces phosgene gas and dichloroacetylene which can cause ARDS & seizures respectively.
Methoxyflurane can react with rubber tubing of closed circuit.